A child presents with hepatomegaly and hypoglycemia. There is no improvement in blood sugar even after administration of epinephrine. What is the likely diagnosis –
1. Von girke's disease
2. Anderson's disease
3. Pompe's disease
4. Mc Ardle's disease

Correct answer: 1. Von girke's disease

Explanation: Amongst the given options only Von Gierke's disease presents with hepatomegaly and hypoglycemia.

"A diagnosis of type I glycogen storage disease (Von Gierke's disease) should be suspected whenever there is hepatomegaly with hypoglycemia that is unresponsive to glucagon or epinephrine".